Molten - wax appearance is seen in -
1. Osteoporosis
2. Osteopoikilosis
3. Melorheostosis
4. Osteogenesis imperfecta

Correct answer: 3. Melorheostosis

Explanation: Melorheostosis Irregular cortical hyperostosis involving one side on bone giving the appearance of melted wax/dripping candle wax/flowing candle wax. Pathology involves overproduction of bone matrix and increased angiogenesis